Bansdola is a form of strangulation by ?
1. Ligature
2. Hands
3. Sticks
4. Bend of elbow

Correct answer: 3. Sticks

Explanation: Ans. is 'c' i.e., Sticks